4 little girl who was underweight and hypotonic in infancy is obsessed with food, eats compulsively, and, at age 4, she is already grossly overweight. She is argumentative; oppositional, and rigid. She has a narrow face, almond-shaped eyes, and a small mouth. What is her diagnosis
1. Down syndrome
2. Fragile X syndrome
3. Fetal alcohol syndrome
4. Prader-Willi syndrome

Correct answer: 4. Prader-Willi syndrome

Explanation: (D) Prader-Willi syndrome # Willi syndrome is a genetic disorder caused by a defect of the long arm of chromosome 15. Characteristically, children are underweight in infancy> In early childhood, due to a hypothalamic dysfunction, they start eating voraciously and quickly become grossly overweight,> Individuals with this syndrome have characteristic facial features and present with a variety of neurologic and neuropsychiatry symptoms including autonomic dysregulation, muscle weakness, hypotonia, mild to moderate intellectual disability, temper tantrums, violent outbursts, perseveration, skin picking, and a tendency to be argumentative, oppositional, and rigid.